Shortest acting NDMR:
1. Succinylcholine
2. Mivacurium
3. Atracurium
4. Pancuronium

Correct answer: 2. Mivacurium

Explanation: Ans. is 'b' i.e. Mivacurium Note-Rapacuronium onset is 15-20 minsMiller's anesthesia 5/ep 892, Drugs and equipment in Anaesthesia 5/ep 78 Arm Kumar Paul] Among the given options Rapacuronium is the shortest acting drug. Rapacuronium has been withdrawn from the market because it produces intense bronchospasm in a significant number of patients. Alcuronium is a relatively short-acting muscle relaxant. Always remember this * Shortest acting competitive (non depolarizing) neuromuscular blocker - Mivacurium (duration of action 12-18 minutes) * Fastest acting non-depolarizing blocker Rocuronium * Shortest and fastest acting neuromuscular blocker (overall) - Succinylcholine * Longest acting neuromuscular blocker - Pancuronium * Histamine release is caused by Doxacurium - d-TC maximum tendency, Succinylcholine, Mivacurium, * Virtually no hist amic release - Pancuronium * Maximal vagal block and Tachycardia - Pancuronium * Vagal stimulation is caused by - Succinylcholine * Maximal ganglion blockade is caused by - d-TC * Ganglion stimulation is caused by - Succinylcholine * Most commonly used muscle relaxant for - Vecuronium routine surgery * Most potent skeletal muscle relaxant - Doxacurium * Least potent skeletal muscle relaxant - Succinylcholine * Least potent non-depolarizing skeletal muscle - Rocuronium relaxant